Raynaud's phenomenon what change is seen in vessels initial stage:
1. No change
2. Thrombosis
3. Fibrinoid necrosis
4. Hyaline sclerosis

Correct answer: 1. No change

Explanation: Ans. (a) No change(Ref: Harrison 17th ed Table 243-1)Most common cause of Raynaud's Phenomenon -Primary or idiopathic.In initial stages of Raynaud's phenomenon no changes is seen late stages may show atherosclerosis or thrombosis